All are consequences of edentulism except
1. Prognathic appearance
2. Thinning of lips
3. Decreased length of lip
4. Increase in columella philtrum angle

Correct answer: 3. Decreased length of lip